Manual appreciation of fetal parts and fetal movement by examination is earliest possible at____________weeks of gestation:
1. 20
2. 24
3. 26
4. 28

Correct answer: 1. 20

Explanation: 20